What is the number of Gate Glidden drill used in mid canal region?
1. 6-May
2. 3
3. 2
4. 1

Correct answer: 2. 3